The antibacterial substance present in the tears is:
1. Lysozyme
2. Betalysin
3. Lactoferrin
4. All of the above

Correct answer: 4. All of the above

Explanation: Ans. All of the above